A newborn infant develops respiratory distress immediately after birth. His abdomen is scaphoid. No breath sounds are heard on the left side of his chest, but they are audible on the right. Immediate intubation is successful with little or no improvement in clinical status. Emergency chest x-ray is shown (A) along with an x-ray 2 hours later (B) Which of the following is the most likely explanation for this infant's condition?
1. Pneumonia
2. Cystic adenomatoid malformation
3. Diaphragmatic hernia
4. Choanal atresia

Correct answer: 3. Diaphragmatic hernia

Explanation: Diaphragmatic hernia occurs with the movement of abdominal contents across a congenital or traumatic defect in the diaphragm. In the newborn, this condition results in profound respiratory distress with significant mortality. Prenatal diagnosis is common and, when found, necessitates that the birth take place at a tertiary-level center. In the neonate, respiratory failure in the first hours of life, a scaphoid abdomen, and presence of bowel sounds in the chest are common findings. Intensive respiratory support, including high-frequency oscillatory ventilation and extracorporeal membrane oxygenation (ECMO), has increased survival. Mortality can be as high as 50% despite aggressive treatment. While surgery may correct the diaphragmatic defect, the lung on the affected side remains hypoplastic and continues to contribute to morbidity. Several fetal surgery centers are investigating surgical techniques to repair the hernia in utero to allow the affected lung adequate time to develop prior to delivery.Pneumonia and pneumothorax may cause respiratory distress with decreased breath sounds, but the radiograph in diaphragmatic hernia shows the nasogastric tube curving into the left thorax, clearly an abnormal placement. A congenital cystic adenomatoid malformation will frequently look like a diaphragmatic hernia on radiographs, but the nasogastric tube would be in the correct location. Choanal atresia is an upper airway abnormality and does not cause these radiographic changes; it would have been difficult to place the nasogastric tube in the first place with this condition, in which there is a bony or membranous septum between the nose and pharynx.